Liking to wear opposite sex clothes -
1. Fetichism
2. Masochism
3. Transvestism
4. Sadism

Correct answer: 3. Transvestism

Explanation: Ans. is 'c' i.e., Transvestism o Transvestism or Eonism- a transvestite is a person whose whole personality' is dominated by the desire to be identified and thought of as a member of opposite sex. It is usually found in males who obtain sexual pleasure by wearing female dress.o Fetichism- Fetish is an abnormal stimulus or object of sexual desire. Fetichism means use of such objects for sexual gratification.o Masochism- sexual gratification is obtained or increased by the suffering or pain on self.o Sadism- sexual gratification is obtained or increased from acts of physical cruelty or infliction of pain upon one's partner.o Transsexualists- are persons who have an obsessional desire to become members of the opposite sex and seek surgery for anatomical alteration